Incubation period helps in determining all except-
1. Period of isolation
2. Period of quarantine
3. Identification of source of infection
4. Immunization

Correct answer: 1. Period of isolation

Explanation: An infection becomes apparent only after a certain incubation period which is defined as the time interval between invasion by an epidemiological agent and the appearance of first sign or symptoms. During the incubation period, the infectious agent undergoes multiplication in the host Incubation period is of fundamental importance in an epidemiological study tracing the source of infection and contacts Period of surveillance Immunization Identifying point source or propagated epidemics Prognosis (Ref: 25th edition, Park's Textbook of Preventive and Social Medicine, Page no. 107, 108)